Sentinel lymph node biopsy is done in all except:
1. Ca vulva
2. Ca cervix
3. Ca breast
4. Choriocarcinoma

Correct answer: 4. Choriocarcinoma

Explanation: Ref: Dm to Textbook of Gynecology 5th ed pg.328Explanation:Sentinel lymph node is the first node that drains the primary tumourIn most cases there is a single sentinel lymph nodeThis node can be detected by intraoperative lymphatic mapping injecting methylene blue dye into the tumour or lymphoscintigraphy using technitium 99Uses in Gynecologic MalignancyCervical CaCa VulvaCa Endometrium